Ohngren's classification is used for
1. Ca maxillary sinus
2. Ca nasopharynx
3. Ca oropharynx
4. Ca tongue

Correct answer: 1. Ca maxillary sinus

Explanation: Ohngren's classification: This is done using an imaginary line between medial canthus to the angle of mandible. Growth above this line have poor prognosis